All of the following statements are true for 'Intestinal Motility' except:
1. Does not depend on Gastric motility
2. Increased by Distension
3. Increased by Acetylcholine
4. Increased by choleoystokinin

Correct answer: 1. Does not depend on Gastric motility

Explanation: Increased gastric motility will cause chyme to rapidly enter the (small) intestine. This will lead to distension of small intestine and would increase its motility. Distension of the gut is the usual stimulus for peristalsis. Vagus/Ach increases activity in ENS; it would increase the motility and secretory activity in the gut. CCK is known to increase gall bladder motility and inhibit gastric emptying. It may enhance intestinal motility.